All of the following is true about Mullerain Agenesis except :
1. Partial or complete absence of vagina
2. Wide array of uterine abnormalities
3. Wide array of ovarian abnormalities
4. Normal 46 XX karyotype

Correct answer: 3. Wide array of ovarian abnormalities

Explanation: A condition where the mullerian duct is not formed and hence its derivates like vagina,uterus and tubes are not made. Ovary is spared because it is formed from the genital ridge. Mayer Rokitansky Kuster Hauser (MRHK) syndrome Also k/a Mullerian agenesis Occurs in 1:5000-1:20,000 women Features include Primary amenorrhoea Partial or complete absence of vagina Wide array of uterine abnormalities Skeletal/renal and other associated abnormalities, A normal female appearance and secondary sexual characteristics Normal 46 XX karyotype. The ovaries are anatomically and functionally normal. Uterus represented by a nodule (rudimentary uterus) with hypoplastic or dimple vagina.